Which of the following is associated with ependymal cells rather than microglial cells?
1. Blepharoplasts
2. Rod cells
3. Gitter cells
4. Reservoir for HIV

Correct answer: 1. Blepharoplasts

Explanation: Ependymal cells line the cerebral ventricles and have blepharoplasts that are visible with special stains. They are useful histologic markers that document the ependymal origin of a brain tumor. Microglial cells are derived from macrophages and are the phagocytic cells of the central nervous system. When activated, microglial cells are called gitter cells and have a foamy appearance. Neuronophagia (e.g., viral encephalitis, poliomyelitis) occurs when microglial cells phagocytize breakdown products of the neuron. Rod-like microglial cells are seen in neurosyphilis. Macrophages are primarily responsible for carrying HIV into the central nervous system and are the reservoir cell for the virus.